Most potent cardiac stimulant of the following is:
1. Adrenaline
2. Noradrenaline
3. Ephedrine
4. Salbutamol

Correct answer: 1. Adrenaline